Rat bite fever may be caused by -a) Leptospira canicolab) Streptobacillus moniliformisc) Borrelia recurrentisd) Spirillum minus
1. c
2. d
3. ab
4. bd

Correct answer: 4. bd